Internal attachments for a partial denture is used:
1. When restoring a palatal cleft
2. When abutment tooth has dental canes
3. When there is difficult in getting clasp retention
4. When restoring Lost vertical dimension

Correct answer: 3. When there is difficult in getting clasp retention